The safest instrument for removing the pulp from the very fine canal is:
1. Barbed broach
2. Small K type file
3. Tempered universal Headstroem file
4. Smooth broach

Correct answer: 2. Small K type file